Singer's nodule is due to:
1. Bacteria
2. Viral
3. Fungus
4. Voice abuse

Correct answer: 4. Voice abuse

Explanation: Ans: d (Voice abuse)Ref: Dhingra E.N.T. 3rd/e p. 365 & 2nd/e p. 299